All of the following muscles of the pectoral girdle are innervated by branches from the brachial plexus: except:
1. Subclavius
2. Serratus anterior
3. Rhomboid major
4. Trapezius

Correct answer: 4. Trapezius

Explanation: Trapezius is supplied by spinal part of cranial nerve XI